Tissue contact of modified ridge lap on gingiva resembles:
1. O shape
2. Y shape
3. T shape
4. C chape

Correct answer: 3. T shape

Explanation: This pontic is designed with a slight bucco-lingual concavity wherein food entrapment can occur. Food entrapment is avoided by designing a convex mesiodistal surface. The mesiodistal surface should be more convex to avoid food entrapment. Tissue surface of the pontic shows a ‘T’ shaped contact. The vertical arm of the ‘T’ ends at the crest of the ridge. The horizontal arms form the contact along the buccal surface of the ridge. Contact with the facial/buccal surface of the ridge is essential to provide a natural appearance.